Which of the following statements is true of Rabies
1. Fluorescent antibody is the test of choice
2. HDCV is a live attenuated vaccine
3. Vaccine is given deep IM in the buttock
4. Local wound care is of no use

Correct answer: 1. Fluorescent antibody is the test of choice